All are true about short bowel syndrome except -
1. Intestinal transmit time is increased
2. Nutritional deficiency present
3. Site atorrhea present
4. None

Correct answer: 1. Intestinal transmit time is increased